Treatment of choice for sputum positive pulmonary tuberculosis detected in Ist trimester of pregnancy:
1. Defer till second trimester
2. Start cat. I immediately
3. Start cat. II immediately
4. Start cat. III immediately

Correct answer: 2. Start cat. I immediately

Explanation: Start cat. I immediately Repeat May 10